The usual incubation period for typhoid fever is
1. 3-5 days
2. 21-25 days
3. 10-14 days
4. less then 3 days

Correct answer: 3. 10-14 days